Which among the following is an antibiotic agent that penetrates burn eschar to reach interface with patient's viable tissue ?
1. Mafenide acetate
2. Neomycin
3. Silver nitrate
4. Silver sulfadiazine

Correct answer: 1. Mafenide acetate

Explanation: Mafenide acetate Antibiotic agent that penetrates burn eschar to reach interface with patient's viable tissue. Disadvantages- Quite painful on any partial thickness areas, and it is a carbonic anhydrase inhibitor that interferes with renal buffering mechanisms. Chloride is retained & metabolic acidosis can occur. For these reasons, silver sulfadiazine is more commonly used in burn centers unless a major problem with burn wound sepsis is present.